Rave drug is:
1. Cannabis
2. Cocaine
3. Heroin
4. Methamphetamine

Correct answer: 4. Methamphetamine

Explanation: Ans. Methamphetamine